Her2 neu receptor is used in breast carcinoma for
1. Diagnosis of cancer
2. Screening of the breast carcinoma
3. Detect recurrence
4. Predicting response to treatment

Correct answer: 4. Predicting response to treatment

Explanation: HER2 positive breast cancer is diagnosed by the IHC or FISH test. A result of HER 2 positive is important, as it indicates that the cancer can be treated with Herceptin, in combination with other chemotherapy drugs.